Amastigote form of which parasite is found in human?
1. Trypanosoma cruzi
2. Trypanosoma brucei
3. Trypanosoma gambiense
4. Trypanosoma rhodesiense

Correct answer: 1. Trypanosoma cruzi

Explanation: Ans. a. Trypanosoma